The complementarity-determining regions are-
1. Restricted to light chains
2. Are in the constant part of the Ig molecule
3. Binds to Fc receptor
4. Are concerned in antigen recognition

Correct answer: 4. Are concerned in antigen recognition

Explanation: In the variable region of the H and L domains, maximum sequence variation is concentrated in a few discrete regions called hyperevariable regions ( HV) . HV regions form the antigen binding site of the antibody molecule which is complementary to the structure of the epitope and are called Complementary Determining Regions (CDRs)